Which agent is used to prevent synechiae after DCR surgery-
1. Mitomycin
2. Tacrolimus
3. Cyclosporine
4. Doxycycline

Correct answer: 1. Mitomycin

Explanation: Ans. is 'a' i.e., Mitomycin o Now, Mitomycin is being increasingly used for this purpose and is proving more usefulo Mitomycin is an anticancer agent that has shown to decrease scar formation after E.N.T. surgeryo It is an antifibroblastic agent and thus prevents the wound healing and subsequent synechae formationo It is useful in preventing synechae formation in following operations :-i) DCRii) Sinus surgery